The main source of menstrual blood during menstruation is:
1. Arterial
2. Venous
3. Both
4. Cavernous

Correct answer: 1. Arterial

Explanation: Menstrual bleeding is from both systems, but arterial bleeding is appreciably greater than venous. Endometrial bleeding appears to follow rupture of an arteriole of a coiled artery, with consequent hematoma formation. With a hematoma, the superficial endometrium is distended and ruptures. Hemorrhage stops with arteriolar constriction. Ref: Cunningham F.G., Leveno K.J., Bloom S.L., Hauth J.C., Rouse D.J., Spong C.Y. (2010). Chapter 3. Implantation, Embryogenesis, and Placental Development. In F.G. Cunningham, K.J. Leveno, S.L. Bloom, J.C. Hauth, D.J. Rouse, C.Y. Spong (Eds), Williams Obstetrics, 23e.